Migration study is used to study
1. Sociodemographic reasons for migration of a population
2. Prevalence of disease in a population
3. Environmental and genetic factors in a disease in population
4. Diseases with long incubation period

Correct answer: 3. Environmental and genetic factors in a disease in population

Explanation: Large-scale migration of human populations from one country to another provides a unique opportunity to evaluate the role of the possible genetic and environmental factors in the occurrence of disease in a population.Migration studies can be carried out in 2 ways -a) Comparision of disease and death rates for migrants with that kin who have stayed at home. (Genetically similar groups living in different environmental conditions)b) Comparision of migrants with the local population of the host country. (genetically different groups living in the same environment)Park 23e pg: 67